Blood agar is an example of
1. Simple media
2. Selective media
3. Synthetic media
4. Enriched media

Correct answer: 4. Enriched media

Explanation: Enriched media: In these media, substances such as blood, serum, or egg are added to a basal medium. They are used to grow bacteria which are more exacting in their nutritional needs. Examples: Blood agar; Chocolate agar and egg media. Ref : Ananthanarayana textbook of Microbiology 9th edition Pgno : 40